True regarding movements of the cilia in the inner ear are all except:
1. It moves when head is rotated
2. It moves when moving person suddenly stops
3. It moves when perilymph moves
4. Its movement is guided by the inertia of endolymph

Correct answer: 3. It moves when perilymph moves

Explanation: Ans. C: It moves when perilymph moves Into the cupula are projected hundreds of cilia from hair cells located on the ampullary crest. When the head suddenly begins to rotate in any direction (angular acceleration); the endolymph in the semicircular canals, because of its inertia, tend to remain stationary while the semicircular canals turn. This cause relative fluid flow in the ducts in the direction opposite to the head rotation. Similarly When the rotation stops suddenly: the endolymph continues to rotate. And this time cupula bends in opposite direction, causing hair cells to stop discharging entirely.